"Hegar's sign" can be elicited in:
1. During puerperium
2. During labor
3. Early pregnancy
4. Late pregnancy

Correct answer: 3. Early pregnancy

Explanation: Hegar's sign: On a per vaginal examination, the abdominal and vaginal fingers seem to oppose below the body of uterus. Seen around 6th week